Which of the following is/are true about a screening test?
1. Sensitivity is 1 – False positive rate
2. None of the these
3. Specificity is 1 – False negative rate
4. Post-test probability is Pre-test probability multiplied by Prevalence

Correct answer: 2. None of the these